A 15-year-old girl with type 1 diabetes is brought to emergency complaining of dizziness. Laboratory findings include severe hyperglycemia, ketoacidosis and blood pH of 7.15. To achieve rapid control of severe ketoacidosis, an appropriate drug is:
1. Crystalline zinc insulin
2. NPH insulin
3. Tolbutamide
4. Ultralente insulin

Correct answer: 1. Crystalline zinc insulin